All are features seen in Chronic Pancreatitis except -
1. Chronic persistent pain
2. Diarrhoea, Steatorrhoea
3. Calcification
4. Paralytic ileus

Correct answer: 4. Paralytic ileus